Which of the following nerve injury leads to positive Trendelenburg test?
1. Inferior gluteal nerve
2. Superior gluteal nerve
3. Obturator nerve
4. Tibial nerve

Correct answer: 2. Superior gluteal nerve

Explanation: Ans. B. Superior gluteal nerveTrendelenburg's sign is found in people with weak or paralyzed abductor muscles of the hip, namely gluteus medius and gluteus minimus, (these muscles are paralyzed due to injury of superior gluteal nerve)The Trendelenburg sign is said to be positive if, when standing on one leg (the 'stance leg'), the pelvis drops on the side opposite to the stance leg. The muscle weakness is present on the side of the stance leg.